Which of the following is a reverse transcriptase?
1. Topoisomerase 2
2. Telomerase
3. RNA polymerase 2
4. DNA polymerase alpha

Correct answer: 2. Telomerase

Explanation: *Telomerase Is a Specialized Reverse Transcriptase.*Certain RNA viruses that infect animal cells carry within the viral particle an RNA-dependent DNA polymerase called reverse transcriptase.*The RNA viruses that contain reverse transcriptases are known as retroviruses.*Reverse transcriptases catalyze three different reactions: (1) RNA-dependent DNA synthesis, (2) RNA degradation, and (3) DNA- dependent DNA synthesis.Ref: Harper Biochemistry; 30th edition